False about enamel spindle is
1. Diameter = 2 micrometer
2. Extended odontoblastic process in enamel
3. Oriented At an acute angle to the dentine
4. Dark dehydrated in transmitted light

Correct answer: 3. Oriented At an acute angle to the dentine

Explanation: Enamel spindle-

Diameter (2μ)
Extended odontoblast processes in enamel
Perpendicular (right angle) to dentin
DDT (Dark – Dehydrated – Transmitted light)